Which of the following enzyme assay is useful to diagnose alcoholism -a) SGOTb) SGPTc) Alkaline phosphatased) Glutamyl aminotransferase
1. acd
2. abd
3. abc
4. ab

Correct answer: 2. abd